All of the following conditions can cause neuropathies with a predominant motor involvement, EXCEPT:
1. Acute inflammatory demyelinating polyneuropathy
2. Acute intermittent porphyria
3. Arsenic intoxication
4. Lead intoxication

Correct answer: 3. Arsenic intoxication

Explanation: Arsenic toxicity results from mechanisms such as impairment of cellular respiration by inhibiton of enzymes containing thiol groups and by uncoupling of oxidative phosphorylation. Arsenic poisoning results in neurologic symptoms days to weeks after acute exposure. Symptoms are predominantly sensory, muscle weakness is also present. Chronic arsenic poisoning results in arsenic deposition in the skin, hair and nails resulting in hyperpigmentation, keratosis of palms and soles, melanosis, hair loss, neuropathy, muscle weakness and garlic odour in the breath and taste. Ref: Harrison's Internal Medicine, 18lh Edition, Pages 3473, 3173, 3466, and 3476 ; Criminal Poisoning: Clinical and Forensic Perspectives By Christopher P. Holstege, Page 52 ; Adult Neurology By Jody Corey-Bloom, 2nd Edition, Page 284 ; The Neurobiology of Painting, Volume 74 Edited By F. Clifford Ros, Page 265